In burns heat loss is by/ due to -
1. Dilatation of veins
2. Shock
3. Exposed area by evaporation
4. None of the above

Correct answer: 3. Exposed area by evaporation